Resting membrane potential of muscle fibre is
1. -60mv
2. -70mv
3. -80mv
4. -90mv

Correct answer: 4. -90mv

Explanation: The resting membrane potential of skeletal muscle is about –90 mV. The action potential lasts 2 to 4 ms and is conducted along the muscle fiber at about 5 m/s.
Ganong 23 rd ed, pg 96